Indirect retainers in R.P.D are placed:
1. In Line with the direct retainers
2. Are not necessary if direct retainers are given
3. Opposite side of the fulcrum Line of the denture base and away from the direct retainers
4. Opposite side of the fulcrum line of the denture base and close to the direct retainers.

Correct answer: 3. Opposite side of the fulcrum Line of the denture base and away from the direct retainers